The approximate time in which ferric sulphate dampened in a cotton pellet is put to the root stump while performing pulpotomy is
1. 10-15 secs
2. 60-90 secs
3. 2-3 mins
4. 4-5 mins

Correct answer: 1. 10-15 secs